Who can be considerd as an expert witness :
1. Medical men
2. Firearm expert
3. Chemical examiner
4. All

Correct answer: 4. All

Explanation: D i.e. All